Which of the following is having a better prognosis
1. HCC
2. Cholangiocarcinoma
3. Fibro lamellar variant of HCC
4. Angiosarcoma

Correct answer: 3. Fibro lamellar variant of HCC

Explanation: Better prognosis than HCC due to high resectability rates, lack of chronic liver disease, and a more indolent course Long term survival can be expected in about 50-70% of patients after complete resection Ref: Sabiston 20th edition Pgno :1463